Glycemic control over the previous 6-8 weeks in patients with diabetes mellitus is best assessed by estimation of
1. Fasting blood glucose
2. Glycated hemoglobin
3. Fasting C peptide
4. Fasting plasma insulin

Correct answer: 2. Glycated hemoglobin